A surgeon excises a portion of the liver to the left to the attachment of the falciform ligament. The segments that have been resected are
1. Segment 1a and 4
2. Segment 1 and 4b
3. Segment 2 and 3
4. Segment 1 and 3

Correct answer: 3. Segment 2 and 3

Explanation: Segments II and III are to the left of the left hepatic vein and falciform ligament with II superior and III inferior to the portal plane.